True regarding pseudomembranous colitis are all except-
1. It is caused by clostridium difficile
2. The organism is a normal commensal of gut
3. It is due to production of phospholipase A
4. It is treated by vancomycin

Correct answer: 3. It is due to production of phospholipase A